All are true about linear IgA disease except
1. Subepidermal involvement
2. Severe itching
3. Granular deposition of IgA
4. All

Correct answer: 3. Granular deposition of IgA

Explanation: C i.e. Granular deposition of IgALinear IgA disease presents with severely pruritic, subepidermal blistersQ. On DIM, linear (not granular) deposits of IgAQ is seen along EBM. It is a separate & distinct entity different from dermatitis herpetiformis and so gluten free diet is not requiredQ.